Characteristic features of a lesion in the lateral part of the medulla include all except:
1. Ipsilateral Horner's syndrome
2. Contralateral loss of proprioception to the body and limbs
3. Nystagmus
4. Dysphagia

Correct answer: 2. Contralateral loss of proprioception to the body and limbs

Explanation: Lateral medullary syndrome results in C/L loss of pain and temperature due to involvement of lateral spinothalamic pathway. Features of Lateral Medullary (or Wallenberg's) Syndrome. Constellation of vertigo, Numbness of the ipsilateral face Contralateral limbs, diplopia, hoarseness, dysarthria, dysphagia, Ipsilateral Horner's syndrome